Crown completion of Maxillary Canine occur
1. At birth
2. 6-7 year
3. 2 ½ year
4. 8-9 year

Correct answer: 2. 6-7 year